Which one of the following stromal dystrophy is a recessive condition ?
1. Lattice dystrophy
2. Granular dystrophy
3. Macular dystrophy
4. Fleck dystrophy

Correct answer: 3. Macular dystrophy

Explanation: It is an autosomal recessive dystrophy characterised by appearance of dense grey opacity in the central cornea. The condition results due to accumulation of mucopolysaccharides owing to a local enzyme deficiency. It occurs in childhood (5 to 10 years) and leads to marked defective vision in early life, which usually requires penetrating keratoplasty.Reference:Comprehensive ophthalmology,AK Khurana,4th edition,page no.